Increased intercondylar distance is seen in fracture of all, EXCEPT:
1. Olecranon
2. Medial epicondyle
3. Lateral epicondyle
4. Lateral condyle

Correct answer: 1. Olecranon

Explanation: Intercondylar distance is increased in Fractures of medial epicondyle/condyle Fracture lateral epicondyle/condyle Fracture intercondylar humerus. Ref: Apley's 8/e, Page 596-609.